Canals of Hering are present in -
1. Spleen
2. Liver
3. Lymph node
4. Bone marrow

Correct answer: 2. Liver

Explanation: Bile secretion by the liver

It begins in bile canaliculi that form between two adjacent surfaces of hepatocytes, similar to terminal branches of a tree.
The Canaliculi join each other to form larger and larger structures, i.e., canals of hering., in the periportal area.
Canals of hering themselves join to form small bile ductules.
The ductules join to form bile ducts. That eventually form either right or left main hepatic duct.
The right and left hepatic ducts join to form the common hepatic duct, which in turn joints the cystic duct to form the common bile duct.

Bile formed in hepatocyte → Bile canaliculi → Canals of hering → Bile ductules → bile ducts → Rt or Lt main hepatic duct → Common hepatic duct → Common bile duct → Duodenum